The term youth includes people in the age group:
1. 15 to 24 years
2. 19 to 29 years
3. 15 to 34 years
4. 19 to 34 years

Correct answer: 1. 15 to 24 years

Explanation: Adolescence: 10 to 19 years Youth: 15 to 24 years Young people include both the above age groups. Ref: Park 21st edition page: 546.